A sewage worker presnets to the Emergency department with fever and jaundice. Laboratory findings reveal an elevated BUN and serum craetinine suggestive of renal failure. Which of the following antibiotics is recommended?
1. Coctrimaxozole
2. Erythromycin
3. Ciprofloxacin
4. Penicillin G

Correct answer: 4. Penicillin G

Explanation: It is a case of leptospirosis and the drug of choice is penicillin. Reference:Park's textbook of preventive and social medicine,K.Park,23rd edition,page no:292.